Insulin stimulates all except -
1. Glycolysis
2. Lipolysis
3. Protein synthesis
4. Lipogenesis

Correct answer: 2. Lipolysis

Explanation: Ans. is 'b' i.e., LipolysisEffect of insulin on major metabolic pathway (effects of carbohydrate feeding)PathwayEffectRegulated enzymeCarbohydrate metabolismo Glycolysis|| Phosphofructokinase-1Q , | Pyruvate kinaseQ| Pyruvate dehydrogenaseo Giuconeogenesis|Q| Pyruvate carboxylase, |PEP carboxykinase, |fhictose-l ,6-bisphophatase| glucose-6-phosphotaseo Glycogenesiso Glycogenolysis||| glucokinase, | glycogen synthase| glycogen phosphorylaseLipid metabolismo Lipogenesiso Lipo lysiso Cholesterol Synthesiso Triacyl glycerol Synthesiso Lipoprotein degradation|||||| Acetyl-Co carboxylaseQ, T Fatty acid synthase| Hormone sensitive lipaseQ| HMG-CoA reductase| Acyl-CoA-glycerol-3-phosphate transferase, T glycerol kinaseQ| Lipoprotein lipaseProtein metabolismo Protein synthesis|| RNA polymerase and ribusome assembelyNote Pyruvate dehydrogenase is neither a glycolytic nor a TCA cycle enzyme, it acts as a bridge between the two.